What is the probable diagnosis for a cyst in a child which is located at and associated with vertebral defects –
1. Myelocele
2. Bronchogenic cyst
3. Neuroenteric cyst
4. Neuroblastoma

Correct answer: 3. Neuroenteric cyst

Explanation: Vertebral defect in association with intraspinal cyst suggest the diagnosis of neuroenteric cyst.
Any cyst in mediastinum (posterior), abdomen or intraspinal, in association with vertebral defect, suggest the diagnosis of neuroentric cyst.

Neuroenteric cysts
These cysts result from incomplete separation of the notochord from the foregut which causes a persistent communication or adhesion between the ectoderm of spinal cord and endoderm of the foregut.

The lining epithelium of these cysts are endodermal in origin.
These cysts are associated with -


Vertebral anomalies (most common) → Hemivertebrae, spina bifida, fused vertebrae, absent vertebrae, diastematomyelia.
Intestinal anomalies → Duplication, malrotation, imperforate anus.
Others → Cloacal / bladder exstrophy, renal agenesis.


Most of the neuroenteric cysts are located -


Intraspinal → MC at cervicothoracic region.
Mediastinum → MC in Posterior mediastinum on right side.